Role of carnitine in lipid metabolism -
1. Catalyzation of the cyclization sequence
2. Essential for extracellular transfer of fatty acids
3. Essential for biosynthesis of fatty acids
4. Transfer of activated long chain FFA into mitochondria

Correct answer: 4. Transfer of activated long chain FFA into mitochondria

Explanation: Ans. is 'd' i.e.. Transfer of activated long chain FFA into mitochondria o Activated long chain fatty acid (acyl CoA) cannot penetrate inner mitochondrial membrane.o Acyl group of acyl CoA is transferred to carnitine, resulting in formation of acylcarnitine.o Acylcarnitine is then transported across the inner mitochondrial membrane into the mitochondrial matrix by translocase.o Once inside the mitochondrion, acyl group of acylcarnitine is transferred back to CoA, resulting in formation of acvl-CoA which undergoes b-oxidation.